Immediate management of a child with foreign body inhalation is -
1. IPPV
2. Bronchoscopy
3. Tracheostomy
4. Exploratory Thoracotomy

Correct answer: 2. Bronchoscopy

Explanation: Ans. is 'b' i.e., Bronchoscopy Treatment of aspirated foreign body A) Treatment of foreign body in upper respiratory tract. o If obstruction is complete --> Immediate intervention. o If obstruction is partial --> Patients should allow to use their own cough reflex to extrude the foreign body --> If it fails than intervention should be done. o Method of removal of foreign body : - 1)If child is younger than 1 year --> Child should be placed face down over the rescuir's arm with head positioned below trunk. Five measured back blows are delivered rapidly between the scapula. If obstruction persists, the infant should be rolled over and five rapid chest compressions should be performed. This sequence is repeated until the obstruction is relieved. 2) If child is elder than 1 year ---> Abdominal thursts (Heimlich maneuver) should be performed. B) Treatment of foreign body in lower respiratory tract. o The treatment of choice is prompt endoscopic (bronchoscopic) removal of foreign body.